False statement about diffuse carcinoma of the stomach is:
1. It is seen mostly in older individuals
2. Leather Bottle appearance
3. Loss of expression of E-cadherin
4. Poorer prognosis

Correct answer: 1. It is seen mostly in older individuals

Explanation: Gastric adenocarcinomas divided into two categories: Diffuse type It Infiltrate and thicken the stomach wall without forming a discrete mass In younger patients Linitis plastica, or "leather bottle" appearance Loss of expression of E-cadherin Carry a poorer prognosis Intestinal type Frequently ulcerative Commonly appear in the antrum and lesser curvature Precancerous process, often initiated by Helicobacter pylori infection Ref: Harrison,E-18,P-765